In the treatment of severe bradycardia, all of the following can be the best modality of treatment except
1. Atropine
2. Pacing
3. Isoproterenol
4. Diltiazem

Correct answer: 4. Diltiazem